DNA proof reading and repair is done by
1. DNA polymerase
2. DNA ligase
3. DNA gyrase
4. DNA primase

Correct answer: 1. DNA polymerase

Explanation: DNA Polymerases Ecoli Eukaryotic Function I Gap filling following DNA replication, repair, and recombination II DNA proofreading and repair b DNA repair g Mitochondrial DNA synthesis III e Processive, leading strand synthesis a Primase d Processive, lagging strand synthesis Harper30e pg: 383